True about typhoid vaccines are all except ?
1. Vi polysaccharide vaccine is given in single dose
2. Storage temperature is +2 to +8degC
3. Typhoral vaccine is given in 3 doses
4. Typhoral vaccine cannot be given with other live vaccines

Correct answer: 4. Typhoral vaccine cannot be given with other live vaccines

Explanation: Ans. is 'd' i.e., Typhoral vaccine cannot be given with other live vaccines